Which is true regarding Barrett's esophagus?
1. Squamous metaplasia of lower esophagus
2. Seen mainly in females
3. Premalignant
4. Responds to conservative management

Correct answer: 3. Premalignant

Explanation: Barrett's esophagus Age - 55-65 years. 2:1 male-to-female ratio, with white males making up more than 80% of cases. Columnar metaplasia of lower esophagus Does not respond to any treatment. Premalignant condition diagnosed with UGIE with biopsy. If high grade dysplasia is found , go for further intervention